Athlete's foot infection is caused due to:
1. Trichophyton
2. Candida
3. Papilloma virus
4. E.coli

Correct answer: 1. Trichophyton

Explanation: Athlete's foot is a health hazard associated with contact with contaminated swimming pool water. It is caused by Epidermophyton or Trichophyton species. Ref: Park 21st edition page: 673.